All are true statements about plant irritants except:
1. Abrus ingestion resembles cobra snake bite.
2. Nux vomica contain strychnine.
3. Sui-picking involves abrus precatorius
4. Cholera like action is produced by ricinus communis

Correct answer: 1. Abrus ingestion resembles cobra snake bite.

Explanation: Abrus injection (sui needle) resembles viper snake bite. Ricinius communis produces diarrhea (cholera like action). Nux vomica contains strychnine, brucine and loganin.